Post term pregnancy is the pregnancy which continues beyond:
1. 274 days
2. 284 days
3. 294 days
4. 304 days

Correct answer: 3. 294 days

Explanation: Ans. C: 294 days The normal duration of pregnancy is approximately 37 to 42 weeks, with the estimated due date at 40 weeks or 280 days from the first day of the last menstrual period. A postterm pregnancy/prolonged pregnancy/post maturity is one that has extended beyond 2 weeks of the expected date of delivery (beyond 294 days). Nearly 10 percent of pregnancies are postterm.